All of the following statements about silicosis are true, Except
1. Pleural plaques
2. Prediliction for upper lobes
3. Calcific Hilar Lymphadenopathy
4. Associated with tuberculosis

Correct answer: 1. Pleural plaques

Explanation: Answer is A (Pleural plaques): Pleural plaques are characteristically associated with Asbestosis and not silicosis Silicosis has predilection for upper lobes 'Radiographs typically show fine nodularity in the upper zones of the lung' - Rounded opacities appear in the upper lobes on chest radiograph' - Silicosis is associated with calcific Hilar Adenopathy Calcification of hilar lymph nodes may occur in as many as 20% of cases and produce a charachteristic "egg shell" pattern. Silicosis is associated with Tuberculosis 'Because silica is cytotoxic to alveolar macrophages, patients with silicosis are at greater risk of acquiring lung infections that involve these cells as a primary defense including mycobacterium tuberculosis, atypical mycobacteria and fungi'